Anion gap is mostly due to
1. Proteins
2. Sulphates
3. Phosphates
4. Nitrates

Correct answer: 1. Proteins

Explanation: Anion gap is mainly caused by plasma albumin.